Feigning a false pregnancy and showing all subjective symptoms of pregnancy termed as
1. Superfecundation
2. Superfoetation
3. Pseudocyesis
4. Vanishing twin syndrome

Correct answer: 3. Pseudocyesis

Explanation: Pseudocyesis(Spurious, False or Phantom pregnancy) Some women may feign pregnancy or firmly believes to be pregnant and show all the subjective symptoms of pregnancy. Most of these subjects are women nearing menopause or young women who are neurotic or hysterical or with an immense desire to be pregnant. Ref: FORENSIC MEDICINE AND TOXICOLOGY Dr PC IGNATIUS THIRD EDITION PAGE 332